Which cancer is predisposed by radon exposure?
1. Lung
2. Cervix
3. Oral cavity
4. Bladder

Correct answer: 1. Lung

Explanation: Ans. Lung